Which of the following is supplied by the third crania] nerve ?
1. Superior oblique
2. Inferior oblique
3. Lateral rectus
4. Dilator papillae

Correct answer: 2. Inferior oblique

Explanation: Ans. is 'b' i.e., Inferior oblique NerveMuscles suppliedGcculomotorSuperior, Inferior and medial RectusInferior obliqueLevator palpebrae superiorisSphincter pupillaeCiliary' muscleTrochlearSuperior obliqueAbducensLateral rectus